Paraxial mesoderm develops into
1. Somites
2. Mesonephric duct
3. Notochord
4. All of the above

Correct answer: 1. Somites

Explanation: Human embryology Tenth edition Inderbier Singh Page no 62At first, the cells of paraxial mesoderm are homogeneously arranged later the mesoderm get segmented The segment are two categories somitomeres and somites